Deja vu like experiences is seen epilepsies with their focus in
1. Diencephalon
2. Orbitofrontal cortex
3. Temporal lobe
4. Sensory motor cotex

Correct answer: 3. Temporal lobe

Explanation: Even though these phenomenon are seen in anxiety disorders and schizophrenia they are most characteristic of temporal lobe epilepsies